Which of the following antilipidemic drug is a sterol absorption inhibitor?
1. Gemfibrozil
2. Simvastatin
3. Nicotinic acid
4. Ezetimibe

Correct answer: 4. Ezetimibe

Explanation: Ans. is 'd' i.e., Ezetimibe Classification of antihyperlipidemic drugs* HMG CoA reductase inhibitorsStatins: Lovastatin, Simvstatin, Pravastatin, Atorvastatin, Rosuvastatin* Bile acid sequestrantsResins: Colestipol, Cholestyramine* LPL activator/PPAR a activatorClofibrate, gemfibrozil, fenofibrate.* Sterol absorption inhibitorEzetimibe* Lipolysis and TG synthesis inhibitorNicotinic acid